Commonest stone in case of UTI
1. Phosphate
2. Urate
3. Cysteine
4. Calcium oxalate

Correct answer: 1. Phosphate

Explanation: Phosphate or struvite stones are infection stones associated with urea-splitting organisms i.e. Proteus, Pseudomonas, Providencia, Klebsiella, Staphylococci and Mycoplasma. The high ammonium concentration desired from urea-splitting organisms results in an alkaline urinary pH, required for the precipitation of phosphate crystals. Ref : Bailey & Love 25/e p1296